Hartmann's solution contains all of the following, EXCEPT:
1. Na++
2. Ca++
3. Mg++
4. Lactate

Correct answer: 3. Mg++

Explanation: Hartmann solution is a crystalloid solution used for intravenous administration, it is also known compound sodium lactate. Hartmann solution contains: Na+ 131 mmol/L Cl- = 111 mmol/L Lactate = 29 mmol/L K+ = 5 mmol/L Ca++ = 2 mmol/L pH = 6.5 Osmolarity = 279 mosm/L Ref: The ICU Book By Paul L. Marino, Page 237